Pneumoconiosis seen in Textile industry workers is:-
1. Silicosis
2. Bagassosis
3. Byssinosis
4. Anthracosis

Correct answer: 3. Byssinosis

Explanation: Pneumoconiosis seen in Textile industry workers - Byssinosis Dangerous particle size for pneumoconiosis is 0.5 - 3 um